'Hair on end' appearance is characteristically seen in
1. Thalasemia major
2. Sickle cell anaemia
3. G 6PD deficiency
4. Hereditary spherocytosis

Correct answer: 1. Thalasemia major

Explanation: Ans. a (Thalassemia major) (Ref. Radiology Review Manual, 5th/pg.174)Causes of "hair on end" or "crew hair cut" skull are# Thalassemia (Characteristic)# Hereditary spherocytosis# Sickle cell disease# G-6-PD deficiency# Iron deficiency anaemia# Neuroblastoma